A 6 year old boy taken for ophthalmic examination under anaesthesia. His father told that he has lower limb weakness & his elder brother died at 14 years of age. Which anaesthetic drug has to be avoided.
1. Succinylcholine
2. Pancuronium
3. Atracurium
4. Dexacurium

Correct answer: 1. Succinylcholine

Explanation: ROLE OF SUCCINYLCHOLINE ON MUSCLES * Succinylcholine, commonly used in anesthesia, paralyzes normal skeletal muscles by blocking transmission at the myoneural junction